Blood supply of bulb of the penis:
1. Scrotal artery
2. Superficial pudendal artery
3. Bulbourethral artery
4. Bulbocavernosus artery

Correct answer: 3. Bulbourethral artery

Explanation: Ans. C Bulbourethral arteryRef: Gray's Anatomy for Students E-book, P 516* Blood supply to the skin of the penis is from the left and right superficial external pudendal arteries, which arise from the femoral artery.# The superficial external pudendal arteries branch into dorsolateral and ventrolateral branches, which collateralize across the midline.# In addition, branches in the skin form an extensive subdermal vascular plexus.* The blood supply to the ventral penile skin is based on the posterior scrotal artery, a superficial branch of the deep internal pudendal artery.* The blood supply to deep structures of the penis is derived from a continuation of the internal pudendal artery, after it gives off the perineal branch. Three branches of the internal pudendal artery flow to the penis, as follows:* Bulbourethral artery: Artery of the bulb passes through the deep penile (Buck) fascia to enter and supply the bulb of the penis and penile (spongy) urethra.* The dorsal artery travels along the dorsum of the penis between the dorsal nerve and deep dorsal vein and gives off circumflex branches that accompany the circumflex veins; the terminal branches are in the glans penis.* Cavernosal artery: Deep penile artery is usually a single artery that arises on each side and enters the corpus cavernosum at the crus and runs the length of the penile shaft, giving off the helicine arteries, which are an integral component of the erectile process.